A 6-year-old girl on a predominantly maize based diet presents with history of recurrent diarrhea, dermatitis with rashes involving the neck area is seen in:
1. Pellagra
2. Tyrosinemia
3. Phenylketonuria
4. Albinism

Correct answer: 1. Pellagra

Explanation: a. Pellagra(Ref: Nelson's 20/e p 324-326, Ghai 8/e p 118-119)Maize based diet predisposes to Niacin deficiency, which gives rise to Pellagra.